Gold standard test for diagnosis of laryngopharyngeal reflux is -
1. 24 hr double probe pH monitoring
2. Flexible endoscope
3. Barium swallow
4. Laryngoscopy

Correct answer: 1. 24 hr double probe pH monitoring